Which tendon is used in repair of anterior cruciate ligament?
1. Patellar tendon
2. Palmaris longus
3. Plantaris
4. None

Correct answer: 1. Patellar tendon

Explanation: Patellar tendon along with part of patella and tibial tuberosity is commonly used to reconstruct ACL. Apart from patellar tendon semimembrosus or gracillis can be used.